Exposure to sunlight aggravates all except:
1. Pellagra
2. Atopic eczema
3. Psoriasis
4. Hidradenitis suppurativa

Correct answer: 4. Hidradenitis suppurativa

Explanation: Although sunlight is generally beneficial, psoriasis may be provoked by sunlight in a minority.Some photoaggravated conditions that are generally phototherapy responsive, including psoriasis and eczema, may be successfully treated by cautious use of UVB phototherapy or PUVA. Dermatosis not caused but aggravated by ultraviolet exposure. Acne Atopic eczema Cutaneous T-cell lymphoma Dermatomyositis Erythema multiforme Familial benign chronic pemphigus (Hailey-Hailey disease) Granuloma annulare Hartnup syndrome Keratosis follicularis (Darier's disease) Lichen planus Lupus erythematous Pellagra Pemphigus Psoriasis Reticular erythematous mucinosis (REM) syndrome Seborrhoeic eczema